Which vaccine should not given to a child suffering from convulsions?
1. Measles
2. BCG
3. DPT
4. OPV

Correct answer: 3. DPT

Explanation: DPT should not be repeated if severe reactions occured after a previous dose. Such reactions include collapse or shock like state, persistent screaming episodes, temperature above 40 deg.C, convulsions, other neurological symptoms and anaphylactic reactions. Ref: PARK'S TEXTBOOK OF PREVENTIVE AND SOCIAL MEDICINE 23rd edition , Page :162